All are features of tabes dorsalis, except :
1. Ataxia
2. Argyll Robertson's pupil
3. Bladder disturbances
4. Hyperreflexia

Correct answer: 4. Hyperreflexia

Explanation: Answer is D (Hyperreflexia): Tabes dorsalis is characterized by areflexia resulting from degeneration, demyelination of posterior nerve root and ganglia.